Long acting insulin preparations are frequently administered by:
1. Oral route
2. Intramuscular route
3. Intradermal route
4. Subcutaneous route

Correct answer: 4. Subcutaneous route